A new born who has frothing of mouth. Cyanosis is present on day one. The most probable diagnosis is
1. Lung hypoplasia
2. Lung cyst
3. Diaphragmatic hernia
4. Esophageal Atresia

Correct answer: 4. Esophageal Atresia

Explanation: .Symptoms of TE fistula or esophageal atresia: Frothy, white bubbles in the mouth. Coughing or choking when feeding. Vomiting. Blue color of the skin (cyanosis), especially when the baby is feeding. Difficulty breathing. Very round, full abdomen. Ref ghai 9e